Type of human papilloma virus associated with cacinoma cervix -
1. Types 6, 12, 18
2. Types 16, 18, 31
3. Types 6, 8, 11
4. Types 3, 10, 19

Correct answer: 2. Types 16, 18, 31

Explanation: HPV 16&18 related to cervical cancer REF:ANATHANARAYANAN MICROBIOLOGY NINTH EDITION PAGE.553